For Dextroelevation of the eye, muscles acting are -
1. Right lateral rectus and left medial rectus
2. Right superior rectus and left inferior oblique
3. Right inferior rectus and left superior oblique
4. Bilateral superior recti and inferior obliques

Correct answer: 2. Right superior rectus and left inferior oblique

Explanation: Dextroelevation: Right superior rectus and left inferior oblique Levoelevation: Left superior rectus and right Inferior oblique Dextroversion: Right lateral rectus and left medial rectus Levoversion: Left lateral rectus and right medial rectus Dextrodepression: Right inferior rectus and left superior oblique Levodepression: Left inferior rectus and right superior oblique Ref;A.K.Khurana;6th Edition;Page no: 339